Posterior dislocation of tibia on femur is prevented by:
1. Posterior cruciate ligament
2. Anterior cruciate ligament
3. Medial meniscus
4. Lateral meniscus

Correct answer: 1. Posterior cruciate ligament

Explanation: Ans: A (Poster..) Posterior cruciate ligament prevents posterior translation of tibia on the femur - Maheshwari 3rd /124Anterior Cruiciate LigamentPosterior Cruciate LigamentFunctionFunctionMajor stabilizer of kneePrevents anterior translation of the tibia on the femurLimits hyperextentionAlso stabilizes the kneePrevents posterior translation of tibia on the femurLimits hyperxtension of knee only if ACL has rupturedAnatomyAnatomyAttached on tibia just behind anterior horn of medial meniscus.Attached on tibia behind posterior horn of medial meniscusRuns upwards backwards and laterallyRuns upwards forwards and mediallyAttached on femur over medial surface of lateral femoral condyle.Attached on femur over lateral surface of medial femoral condyleIt is intracapsular and intrasynovialIt is intracapsular but extrasynovialqIt is tout during extension of kneeIt is tout during flexion of kneeMost common mechanism of injuryMost common mechanism of injuryTwisting force on a semi flexed kneeDirect force on the tibia backwards on the femur with the knee in semifixed flexed position 'Dashboard impactLigament injury to Anterior cruciate ligament are often associated with collateral ligament and meniscat injury.